Induced fit hypothesis was proposed by
1. Koshland
2. Niemann
3. Krisch
4. Marfan

Correct answer: 1. Koshland